Circumference of an adult eyeball is:
1. 80 mm
2. 65 mm
3. 75 mm
4. 70 mm

Correct answer: 3. 75 mm

Explanation: Ans. 75 mm